Not a direct branch of arch of aorta ?
1. Left common carotid artery
2. Left subclavian artery
3. Brachiocephalic trunk
4. Right common carotid artery

Correct answer: 4. Right common carotid artery

Explanation: Branches of arch of aorta are :- i) Brachiocephalic trunk ii) Left common carotid artery iii) Left subclavian artery Right common carotid artery and right subclavian artery arise from brachiocephalic trunk (Brachiocephalic trunk divides into right common carotid and right subclavian arteries).